Which of the following physiological change occurs in near vision
1. Decrease in power of lens
2. Contraction of lateral rectus
3. Increase in depth of focus
4. Increase in zonular tension

Correct answer: 3. Increase in depth of focus

Explanation: Answer- C. Increase in depth of focusWhen a person tries to see a near object, there is stimulation of near reflex. Thus near vision stimulates near reflex.